In cyclo-propagative transmission, the disease agent undergoes
1. Only development
2. Only multiplication
3. Change in form and numbers
4. No change

Correct answer: 3. Change in form and numbers

Explanation: Biological transmission of vector borne diseases: Cyclo-Propagative : The agent changes in both form and number, eg: Malaria parasite in mosquito Propagative : The agent merely multiplies in vector, but no change in form, eg: Plague bacilli in rat fleas Cyclo-Developmental : The disease agent undergoes only development but no multiplication, eg: Microfilaria in mosquito Ref : Park's Textbook of preventive and social medicine; 24th edition; Pg no: 98